A patient 12-year-old presents with midline neck swelling , this swelling moves upwards during protrusion of tongue, patient describes this as painless and gives a long history of its presence, what is the most common site for this condition?
1. Suprahyoid
2. Subhyoid
3. Beneath the foramen cecum
4. Floor of mouth

Correct answer: 2. Subhyoid

Explanation: Ans. (b) Subhyoid.Thyroglossal cyst is the diagnosis of the given image, this is a remnant of thyroglossal duct.* It is an example or tubulodermoid lined by pseudostratified ciliated columnar epithelium* Cholesterol crystals may be present and carcinomatous changes may occur* Positions in order of frequency1. Subhyoid2 In front of thyroid3. Suprahyoid4. At the level of cricoids cartilage5. In the floor of the mouth6. Beneath the foramen cecum* Swelling moves with deglutition and moves up with protrusion of the tongue* It should be excised due to presence of lymphatic tissue in the wall infectionImage source- style="font-family: Times New Roman, Times, serif">